Which of the following is the products formed from alcohol but not the intermediates of TCA cycle/glycolysis?
1. Acetaldehyde
2. Pyruvate
3. Lactate
4. Oxalate

Correct answer: 1. Acetaldehyde

Explanation: Oxidation of ethanol by alcohol dehydrogenase leads to excess production of NADH in the Liver